A 40 year old male complained of pain and mobility of tooth, associated with swelling and pus discharge from gingiva. What is the diagnosis?
1. Periapical granuloma
2. Periodontal abscess
3. Periodontal cyst
4. Periapical cyst

Correct answer: 2. Periodontal abscess

Explanation: Radiograph reveals periapical radiolucency associated with bone loss suggestive of periodontal abscess.